Schwartze sign seen in:
1. Glomus jugulare
2. Otosclerosis
3. Meniere's disease
4. Acoustic neuroma

Correct answer: 2. Otosclerosis

Explanation: (b) Otosclerosis(Ref. Cummings, 6th ed., 2213)10% cases of otosclerosis are active. In these the active division is taking place on the medial wall of middle ear leading to increased vascularity. This appears pinkish through the intact tympanic membrane leading to flamingo pink appearance of TM also known as Schwartze sign.In Glomus jugulare the vascular tumour coming from the floor of the middle ear gives a rising sun appearance on the TM. This is also known as red reflex.In Meniere's and Acoustic neuroma the TM appears no3rmal, i.e. pearly white.